Pseudolymphoma occurs because of long term use of :
1. Carbamazepine
2. Phenobarbital
3. Phenytoin
4. Primidone

Correct answer: 3. Phenytoin

Explanation: Side effects of phenytoin Gingival hyperplasia Lymphadenopathy Hirsutism Osteomalacia Facial coarsening Skin rash